A patient of 18 years of age presents with sudden agonising pain in the groin and the lower abdomen. The patient feels nausea
and gives a history of vomiting. On physical examination, the testis seems high. The cremasteric reflex is lost. What is the most
possible cause?
1. Epididymo-orchitis
2. Mumps orchitis
3. Idiopathic scrotal edema
4. Testicular torsion

Correct answer: 4. Testicular torsion

Explanation: Testicular torsion is most common between 10 and 25 years of age, although a few cases occur in infancy.
Typically, there is sudden agonising pain in the groin and the lower abdomen. The patient feels nauseated and may vomit.
Torsion of a fully descended testis is usually easily recognized. The testis seems high and the tender twisted cord can be palpated above it.
The cremasteric reflex is lost